Most common cause of colonic obstruction is ?
1. Volvulus
2. Hernia
3. Adhesions
4. Neoplasm

Correct answer: 4. Neoplasm

Explanation: Ans. is 'd' i.e., Neoplasm